Which of the following drugs is not used for pain management in endometriosis
1. OCPs
2. GnRH agonists
3. Mifepristone
4. Methotrexate

Correct answer: 4. Methotrexate

Explanation: Methotrexate is not used for management of endometriosis